All of the following are hallucinogens, except -
1. LSD
2. Phenylcyclidine
3. Mescaline
4. Methylphenidate

Correct answer: 4. Methylphenidate

Explanation: Ans. is 'd' i.e., Methylphenidate